Receptors for inverse stretch reflex is located in:
1. Desmosomes
2. Hemidesmosomes
3. Gap junctions
4. Golgi tendon organs

Correct answer: 4. Golgi tendon organs

Explanation: The receptor for the inverse stretch reflex is in the Golgi tendon organ. Ref: Ganong's Review of Medical Physiology 23rd edition, Chapter 9.